False about Localised Aggressive Periodontitis is.
1. Affects Incisors and 1st molars.
2. Shows strong antibody response.
3. Main causative organism is P. Gingivalis.
4. None

Correct answer: 3. Main causative organism is P. Gingivalis.